Palmaris Brevis is supplied by:
1. Median nerve
2. Ulnar Nerve
3. Radial Nerve
4. Musculocutaneous nerve

Correct answer: 2. Ulnar Nerve

Explanation: Ans. B. Ulnar Nervea. In the proximal forearm, ulnar nerve gives muscular branches to: (a) flexor carpi ulnaris, and (b) medial half of flexor digitorum profundus.b. In the mid-forearm, it gives off palmar cutaneous branch, which provide sensory innervation to the skin over the hypothenar eminence.c. About 5 cm proximal to the wrist, it gives off dorsal cutaneous branch which provides sensory innervation to the skin over the medial third of the dorsum of the hand and medial 11/2 finger.d. The superficial terminal branch supplies palmaris brevis provides sensory innervation to the skin on the palmar surface of medial 11/2 fingers.e. The deep branch of ulnar nerve is purely motor and supplies all the intrinsic muscles of the hand including adductor pollicis except other muscles of thenar eminence and first two lumbricals.